Fohergill's repair is also known as :
1. Khanna's sling operation
2. Manchester operation
3. Le Fort's repair
4. Shirodkar's abdominal sling operation

Correct answer: 2. Manchester operation

Explanation: Manchester operation